Post-exposure prophylaxis is indicated in ?
1. HBV
2. Rabies
3. Diphtheria
4. All

Correct answer: 4. All

Explanation: Ans. is 'a' i.e., HBV; 'b' i.e., Rabies; 'c' i.e., Diphtheria Read the question carefully, examinar is asking about postexposure prophylaxis (not post-exposure immunization). o In previous explanation, I have explained the diseases for which post-exposure prophylaxis is done by immunization (vaccine or immunoglobulin or both). o In some diseases post-exposure prophylaxis is done by drugs, i.e., post-exposure chemoprophylaxis : - i) HIV --> Antiretroviral therapy ii) Herpes --> Famciclovir iii) Diphtheria iv) Miningococcal meningitis